Uses of tumor marker are all except :
1. Screening of a cancer
2. Follow up of a cancer patient, esp. for knowing about recurrence
3. Confirmation of a diagnosed cancer
4. For monitoring the treatment of a cancer

Correct answer: 3. Confirmation of a diagnosed cancer

Explanation: Tumor markers are not specific, so, cannot be used for confirmation of diagnosis. Confirmation is done by biopsy Examples: PSA Prostate cancer Ig Multiple myeloma hCG Choriocarcinoma Calcitonin Medulaary thyroid cancer Catecholamines Pheochromocytoma CEA Colon ca, Pancreatic ca CA 15.3 Breast cancer CA 19-9 Pancreatic cancer CA 125 Ovarian ca NSE Neuroblastoma